The drug most likely to be responsible for acute pancreatitis is:
1. Didanosine
2. Ketoconazole
3. Saquinavir
4. Zidovudine

Correct answer: 1. Didanosine

Explanation: * Didanosine is most commonly implicated anti-retroviral drug in causing acute pancreatitis. * Maximum chances of peripheral neuropathy are seen with stavudine. * Minimum risk of peripheral neuropathy is seen with Lamivudine. * Abacavir predisposes to MI.